All are Aryl phosphate group of Organophosphorus compounds except:
1. Follidol
2. Malathion
3. Diazinon
4. Parathion

Correct answer: 2. Malathion

Explanation: Alkyl phosphates : HETP, TEPP, OMPA, isopestox ,Malathion , Sulfotepp , Trichlorfon Aryl phosphates : Parathion , Methyl parathion , Chlorthion , Paraoxon, Diazinon